All are used in treating spasmodic dysmenorrhea except:
1. Bromocriptine
2. Ibuprofen
3. Mefenamic acid
4. Norethisterone and ethinyl estradiol

Correct answer: 1. Bromocriptine

Explanation: Spasmodic dysmenorrhoea is another name for primary dysnenorrhoea. (i.e. no pelvic pathology is responsible for pain)
Characteristics of spasmodic dysmenorrhoea
• Seen in adolescent girls
• Pain appears within 2 years of menarche
• Family history may be present
• Pain is spasmodic nature. It is located in lower abdomen and may radiate to back and medial aspect of thigh.
• Associated systemic discomfort seen
• Pain begins few hours before a rest of menstruation and losts for 12–24 hours, but never 48 hours more than
• Pain is often cured after child birth
• Management: NSAID’s or OCP’s